In chronic alcoholic, loss of memory & confabulation is due to -
1. Wernick's encephalopathy
2. Korsakoff's psychosis
3. Alcoholic hallucination
4. Delirium tremens

Correct answer: 2. Korsakoff's psychosis